All are true for PTSD except
1. Hippocampus & amygdala
2. Anhedonia
3. Depression and quilt
4. Anxiolytic is treatment of choice

Correct answer: 4. Anxiolytic is treatment of choice

Explanation: D i.e. Anxiolytic is treatment of choice